Centrally acting sympatholytic agent used as antihypertensive agent is:
1. Propranolol
2. Clonidine
3. Prazosin
4. Phenoxybenzamine

Correct answer: 2. Clonidine